AH are Features of LMN lesion EXCEPT
1. Plantar flexion
2. Absent DTR
3. Hypertonia
4. Hypotonia

Correct answer: 3. Hypertonia

Explanation: (C) Hypertonia FEATUREUMN LesionLMN LesionFunctionInhibitory effect on muscle stretch reflexMotor component of muscle reflexType of paralysisSpasticFlaccidDTRHyperreflexiaHyperreflexiaMuscle ToneHypertonicDecorticate rigidity: lesion above midbrainDecerebrate rigidity: Below midbrainHypertonicMuscle MassDisuse atrophyWasting atrophyFasciculationsNoPresentBabinski signPositiveNoOther reflexesAbdominal & Cremasteric LOST-Voluntary movementDecreased speedLostArea of body involvedLarge areaSmall area